Inferior thyroid artery arises from which of these vessels?
1. Thyrocervical trunk
2. Brachiocephalic trunk
3. Internal carotid artery
4. External carotid artery

Correct answer: 1. Thyrocervical trunk

Explanation: Ans. is 'a' i.e., Thyrocervical trunk o Thyrocervical trunk divides into the inferior thyroid, suprascapular and transverse servical arteries.Arterial tree:Subclavian arteryPART 1Vertebral arteryinternal thoracic arterySuperior epigastricMusculophrenicThyro-cervical trunkSuprascapularInferior thyroidTransverse cervicalPART 2Costocervical trunkDeep cervicalSuperior intercostalDorsal scapular PART 3 Axillary arteryPART 1Superior thoracic a. PART 2Acromio-thoracic a.Lateral-thoracic a.Alar-thoracic a.PART 3Subscapular a.Circumflex scapular thoarcodorsalAnterior circumflex humeral a.Posterior circumflex humeral a. External carotid arteryAnteriorSuperior thyroid a.Lingual a.Facial a.PosteriorOccipital a.Posterior auricular a. MedialAscending pharyngeal a. TerminalMaxillary a.Superficial temporal a. Internal carotid arteryCervical part Petrous partCaroticotympanic br.Pterygoid br. Cavernous partCavernous br.Hypopyseal br.Meningeal br. Cerebral partOphthalmic a.Anterior choroidal a.Posterior communicating a.Anterior cerebral a.o Middle cerebral is the continuation and largest branch of Internal Carotid Artery,o Cervical part of ICA has no branches.